What is the lower limit of normal hemoglobin concentration for the male between 15-17 years of age -
1. 12 gm%
2. 13 gm%
3. 14gm%
4. 15gm%

Correct answer: 2. 13 gm%

Explanation: Ans. is 'b' i.e., 13 gm% Normal Mean and lower limits of normal for hemoglobin, hematocrit, and Mean corpuscular volume Hemoglobin (g/dL)Hematocrit (%)Mean corpuscular volume (mm3)Age (Yr)MeanLower LimitMeanLower LimintMeanLower Limit0.5-1.912.511.0373377702-412.511.0383479735-713.011.5395581758-1113.512.04036837612-14 Female13.512.041368578Male14.012.54337847715-17 Female14.012.041368779Male15.013.04638867818-49 Female14.012.042379080Male16.014.047409080